Most common manifestation of rheumatic fever
1. Arthritis
2. Carditis
3. Chorea
4. Nodules

Correct answer: 1. Arthritis

Explanation: Ans. is 'a' i.e., Arthritis Arthritis in RF It is the most frequent major manifestation (75% of cases). o It is migratory polyarthritis, i.e., several joints are involved in quick succession and each for a brief period of time. o Any joint may be affected but involvement of large joints such as knee, ankle, elbow, and wrist is common. Small joints of hands and feet are not involved. o Inflammation of any one joint subside spontaneously within a week and the entire bout of polyarthritis rarely last more than 4 weeks. Resolution is complete with no residual joint damage. o A striking feature is dramatic response to salicylates.